Following are contraindication for MgSO4, except?
1. Renal Failure
2. Hypocalcemia
3. Myasthenia Gravis
4. Imminent eclampsia

Correct answer: 4. Imminent eclampsia

Explanation: Both imminent and presenting eclampsia are indications of giving MgSO4 therapy. Contraindication for MgSO4: Renal failure Hypocalcemia Myasthenia gravis Atonic uterus